Spontaneous pneumothorax is commonly seen in:
1. Smokers
2. Young females
3. Old age
4. Short statured men

Correct answer: 1. Smokers

Explanation: Answer is A (smokers): Spontaneous pneumothorax is common in smokers. Spontaneous pneumothorax characteristically affect young, tall and thin men/boys (male gender).